The following enzyme activity is measured in Beriberi:
1. Decarboxylase
2. Deaminase
3. Transketolase
4. Transaminase

Correct answer: 3. Transketolase

Explanation: In thiamine deficiency transketolase activity in erythrocytes is decreased. Measures of RBC transketolase is a reliable diagnostic test for thiamine deficiency. Beriberi is caused by thiamine deficiency. Ref: Clinical Laboratory Medicine, 2nd Ed, Page 322